In addison's disease, most diagnostic test is -
1. Serum Na+, K+, renin
2. S. Na+, K+, saline suppression
3. Serum creatinine\/urea ratio
4. ACTH stimulation test

Correct answer: 4. ACTH stimulation test

Explanation: to assess adrenal reserve capacity for steroid Production ( Harrison 17 pg 2264)